Post operative muscle ache is caused by
1. d-TC
2. Suxamethonium
3. Gallamine
4. Pancuronium

Correct answer: 2. Suxamethonium